Mesothelioma is seen in which type of pneumoconiosis:
1. Anthracosis
2. Byssinosis
3. Asbestosis
4. Silicosis

Correct answer: 3. Asbestosis

Explanation: Ans. (c) AsbestosisRef.: K. Park 23rd ed. / 807* Pneumoconiosis occurs due to occupational exposure to dust.* Dust particle of size 0.5 to 3 microns are most dangerous, as they can reach the interior of lungs easily.* Most common pneumoconiosis associated with Mesothelioma and lung cancer: Asbestosis.* Most common pneumoconiosis: SilicosisOther important pneumoconiosis to remember:DiseaseExposure source* SilicosisSilica dust* AnthracosisCoal dust* AsbestosisAsbestos dust* BagassosisSugarcane dust (thermoactinomyces sacchari)* ByssinossisCotton fibre* SiderosisIron dust